Radiosensitisers are all Except
1. Metronidazole
2. Nimorazole
3. Cisplatin
4. Amifostine

Correct answer: 4. Amifostine

Explanation: Radiosensitisers are agents that increase the lethal effects of radiation when given during (or shortly prior) to its delivery. There are three clinically used radiosensitisers - hypoxic cell sensitisers, hypoxic cell cytotoxics and the halogenated pyrimidines - that increase the sensitivity of tumour cells with minimal effect on normal tissues. chemotherapy drugs like cisplatin, 5FU are radiosensitisers.Reference: Eric J Hall Textbook of Radiobiology for Radiologist; 5th edition